Position for transport of a patient with fracture lumbar spine in a patient:
1. Neutral
2. Hyper flexion
3. Alternating
4. Hyperextension

Correct answer: 1. Neutral

Explanation: A i.e. Neutral